Cranial nerve related to apex of petrous temoporal bone
1. VIII
2. VII
3. VI
4. IX

Correct answer: 3. VI

Explanation: Cranial nerve 5 & 6 are related to apex of petrous bone.
Only 1st & 2nd cranial nerves do not arise from brain stem and so do not pass through posterior-cranial fossa. And all other C.N (i.e. 3rd to 12th) pass through posterior cranial fossa.
Trochlear (4th) nerve is the only cranial nerve to emerge dorsally from the brain stem & has longest infra cranial course and most slender cranial nerve (in terms of axons it contains)